Treatment of choice for phlyctenular keratoconjunctivitis is
1. Topical Steroids
2. Palivizumab
3. Olopatiadine
4. Sodium chromoglycate

Correct answer: 1. Topical Steroids

Explanation: Treatment of choice for phlyctenular keratoconjunctivitis is Topical Steroids.